Which of the following does not have a role in acute attack of asthma ?
1. Cromolyn sodium
2. Ipratropium
3. Steroids
4. Salbutamol

Correct answer: 1. Cromolyn sodium